All causes erythema multiforme except –
1. HSV
2. Drugs
3. Idiopathic
4. HPV

Correct answer: 4. HPV

Explanation: Idiopathic erythema multiforme is the most common cause of EM.
Herpes simplex is the most important infectious cause of EM.
Drugs, like NSAIDs & phenytoin can cause EM.